Fungus causing hair skin and nail infection is?
1. T. rubrum
2. E. floculossum
3. M. Canis
4. M. Ayouni

Correct answer: 1. T. rubrum

Explanation: Ans. (a) T. rubrumRef : Ananthnarayan 8/e, p 604, jawetz 24/e, ch 45 Table 45-2, Rook's 7/e, p 36.33